A young person is having comedones and papulo-pustular acne over face and trunk and back. How will you manage the patient?
1. Topical retinoic acid
2. Oral doxycycline + topical retinoic acid
3. Topical clindamycin
4. Oral retinoic acid

Correct answer: 2. Oral doxycycline + topical retinoic acid

Explanation: (Refer: Fitzpatrick's Dermatology in General Medicine, 8th edition)
Algorithm of treating Acne